Most severely affected child in Rh-isoimmunization patients if:
1. Rh negative mother with Rh positive in 2nd child
2. Rh positive mother with Rh negative in 2nd child
3. Rh positive mother with Rh negative in 1st child
4. Rh negative mother with Rh negative in 2nd child

Correct answer: 1. Rh negative mother with Rh positive in 2nd child

Explanation: Rh negative mother delivering Rh positive child for the first time gets sensitized to the D antigen of the fetus and starts developing D antibody which is fully loaded in maternal circulation. When Rh negative mother delivers her Rh positive 2nd child the antibody in the fetal circulation causes hemolysis in fetal circulation and the child is most severely affected.